What should be measured in a newborn who presents with hyperbilirubinemia -
1. Total & Direct bilirubin
2. Total bilirubin only
3. Direct bilirubin only
4. Conjugated bilirubin only

Correct answer: 1. Total & Direct bilirubin

Explanation: Ans. is 'a' i.e., Total and direct bilirubin Measurement of total and direct bilirubin will make us available with all the three parameters i.e. direct, indirect, total bilirubin levels. These will help to classify jaundice into its respective type and aid in diagnosis.